The 'String of pearl' colonies on nutrient agar is produced by:
1. Klebsiella
2. Proteus
3. Bacillus
4. Salmonella

Correct answer: 3. Bacillus

Explanation: Ans. C i.e. Bacillus